Vitamin E is -
1. Anticoagulant
2. Coagulant
3. Antioxidant
4. Antiinflammatory

Correct answer: 3. Antioxidant

Explanation: Ans. is 'c' i.e., Antioxidant o Vitamin E is sometimes described as anti-sterility vitamin.o However, its anti-sterility function is seen only in some animals and not in human beings,o Vitamin E activiy is present in several tocopherols Q, the most important being a-, b-, g- and d- tocopherol,o a-Tocopherol is the most abundant and is taken as the standard,o The most important function of vitamin E in human beings is to act as an anti-oxidant Q.o It prevents the oxidation of other antioxidants, .e.g, carotenes, vitamin A Q and vitamin C Q.o Vitamin E is the lipid-soluble antixodant in cell membranes and plasma lipoproteins.o The main function of vitamin E is as a chain-breaking, free radical-trapping antioxidant in cell membranes and plasma lipoproteins by reacting with lipid peroxide radicals formed by peroxidation of polyunsatured fatty acid Q,o Vitamin E prevents rancidity of fats due to its antioxidant action Q.o Deficiency of vitamin E is rare. Deficiency may occur in severely undernourished children and in premature infants fed on artificial milk.o The clinical manifestations are edema, hemolytic anemia Q (due to fragile red cell's membrane as a result of lipid peroxidation) and thrombocytosis,o Nerve and muscle membrane damage may occur.